Autoimmune hemolytic anemia is associated with malignancy of which cell lineage?
1. T cell
2. B cell
3. Pre B cell
4. Pre T cell

Correct answer: 2. B cell

Explanation: Autoimmune hemolytic anemia is associated with typical B cell chronic lymphocytic leukemia and non-Hodgkin's lymphomas. Ref: Harrison's Principles of Internal Medicine, 17th Edition, Page 693; Davidson's Principles and Practice of Medicine, 20th Edition, Page 1046; Harrison 16th Edition, Page 648, 612; 17th Edition, Page 693